In a normal resting person, breathing air at sea level with RQ of 0.8, Pa CO2 of 40mm Hg, Pi O2 of 149 mm Hg and Fi O2 of 21 %. Calculate alveolar partial pressure of oxygen
1. 100 mm Hg
2. 90 mm Hg
3. 120 mm Hg
4. 80 mm Hg

Correct answer: 1. 100 mm Hg

Explanation: From Alveolar Gas Equation,
Alveolar partial pressure of Oxygen is